Which of the following is anaplerotic reaction:
1. Conversion of Pyruvate to Lactic acid
2. Conversion of Pyruvate to Oxaloacetate
3. Conversion of Pyruvate to Acetyl CoA
4. Conversion of Pyruvate to Acetaldehyde

Correct answer: 2. Conversion of Pyruvate to Oxaloacetate

Explanation: ANAPLEUROTIC reactions reactions which synthesize TCA intermediates. Conversion of pyruvate to Oxaloacetate -most important anaplerotic reaction.